Which of the following antiplatelet drugs is a prodrug:
1. Clopidogrel
2. Tirofiban
3. Aspirin
4. Dipyridamole

Correct answer: 1. Clopidogrel

Explanation: ADP receptor antagonists, ticlopidine and clopidogrel are prodrugs.